Which of the following opens directly into right atrium?
1. Anterior cardiac vein
2. Oblique vein
3. Middle cardiac vein
4. Great cardiac vein

Correct answer: 1. Anterior cardiac vein

Explanation: Following opens into right atrium
-        Superior vena cava
-        Inferior vena cava
-        Coronary sinus
-        Venae cordis minimae
-        Anterior cardiac vein
-        Right marginal vein